Following is not true about adipocere formation
1. It's a modification of putrefaction
2. Its developed in the presence of moist air
3. It occurs in dead bodies lying in water
4. Body has rotten & foul smell

Correct answer: 4. Body has rotten & foul smell

Explanation: Adipocere has rancid butter/ ammonical smell Mummification is odourless Decomposition is foul smelling Factors Influencing Adipocere Formation : A warm, moist and anaerobic environment favors adipocere formation. i. Environmental temperature: Heat accelerates, and cold retards adipocere formation in a body. ii. Moisture: Moisture is essential for chemical reactions to occur. It occurs rapidly in bodies submerged in water than in damp soil. iii. Bacterial infection: Early activity by anerobes such as Clostridium perfringens assist in the reaction, as the bacteria produce lecithinase which facilitates hydrolysis and hydrogenation. iv. Built: In obese people and mature newborn, it is formed quickly. v. Age: Fetuses < 7 months do not show adipocere formation. vi. Air current: It retards adipocere formation by evaporation of the body fluid, and by reducing the body temperature. vii.Running water: Adipocere formation is retarded as the electrolytes are washed away from the surface of the body which is necessary for the change.